Drugs used tor treatment of ectopic, pregnancv are :
1. MTX
2. Actinomycin-D
3. RU-486
4. All

Correct answer: 4. All

Explanation: Ans. is a, b and c i.e. MTX; Actinomycin D; RU 486; and KCI